Somatostatin is produced by
1. Alpha cells
2. Beta cells
3. Delta cells
4. PP cells

Correct answer: 3. Delta cells

Explanation: Alpha cellsGlucagonBeta cellsInsulin, amylinDelta cellsSomatostatinPP cellsPancreatic polypeptideRef: Harrison 19e pg: 2403